All of the following are indications for open reduction and internal fixation of fractures except
1. Compound fracture
2. Unsatisfactory closed reduction
3. Multiple trauma
4. Intra-articular fracture

Correct answer: 1. Compound fracture

Explanation: A i.e. Compound Internal fixation is not recmmended in high grade compound fracturesQ d/t fear of devascularization & infection.